Semi essential amino acids are – a)  Arginineb)  Lysinec)  Leucined)  Histidine
1. b
2. c
3. ac
4. ad

Correct answer: 4. ad

Explanation: Semi essential amino acids

Semi essential amino acids are ones that can sometimes be made internally if conditions are right.
Arginine and histidine are such amino acids that can be converted from other amino acids.

Also know
Conditionally essential amino acids

Non-essential amino acids become essential if their precursors are deficient.
Examples → Tyrosine (derived from pheylalanine) and cysteine (derived from methionine).